Retromammary abcess arises from:
1. Tuberculous rib
2. Infected haematoma
3. Chronic empyema
4. All of the above

Correct answer: 4. All of the above

Explanation: Ans: d (All of the above)Ref: Still searching